Which type ofAmyloidosis is caused by mutation of the transthyretin protein ?
1. Familial Mediterranean fever
2. Familial amyloidotic polyneuropathy
3. Dialysis associated amyloidosis
4. Prion protein associated amyloidosis

Correct answer: 2. Familial amyloidotic polyneuropathy

Explanation: Ans. is 'b' i.e., Familial Amyloidotic Neuropathy